The primary delusion are disorder of
1. Thought
2. Perception
3. Loosening of association
4. Memory

Correct answer: 1. Thought

Explanation: A i.e. Thought